Asherman's syndrome is characterized by:
1. Amenorrhoea
2. Dysmenorrhoea
3. Leucorrhoea
4. Metrorrhagia

Correct answer: 1. Amenorrhoea

Explanation: Ans. A i.e. Amenorrhoea